Protamine antagonism for heparin is :
1. Competitive
2. Chemical
3. Toxic
4. Noncompetitive

Correct answer: 2. Chemical